All are true about hypermetropia except -
1. Long-sightedness
2. Accommodative squint
3. Near point comes closer
4. Pseudopapillitis

Correct answer: 3. Near point comes closer

Explanation: Hypermetropia (hyperopia) or long-sightedness is the refractive state of the eye wherein parallel rays of light coming from infinity are focused behind the retina with accommodation being at rest Fundus examination in a patient with high hypermetropia may show:  Pseudopapillitis  Shot silk appearance of the retina Reference : A K KHURANA OPHTALMOLOGY,Edition 4,Page-28,30